Shepherd's crook deformity is a characteristic radiological feature of
1. Osteosarcoma
2. Chondrosarcoma
3. Fibrous dysplasia
4. Vertebral hemangioma

Correct answer: 3. Fibrous dysplasia

Explanation: Shepherd's crook deformity - Fibrous dysplasia
Coat - hanger appearance - Osteochondroma.